Specific lung compliance is decreased in all except
1. Pulmonary congestion
2. Chronic bronchitis
3. Pulmonary fibrosis
4. Decreased surfactant

Correct answer: 2. Chronic bronchitis